A female patient after injury comes to casualty. Her ABG shows low pH. PCO2 high, bicarbonate normal.The diagnosis is -
1. Respiratory alkalosis
2. Respiratory acidosis
3. Metabolic acidosis
4. Metabolic alkalosis

Correct answer: 2. Respiratory acidosis

Explanation: First step

Determine whether academia or alkalemia is present
pH is low, indicating acidosis

Second step

Inspect HCO3-/CO2 to determine the cause of alkalemia or academia.
In this case, the pCO2 is high and the bicarbonate is normal, so the acidosis can be easily attributed to increased CO2
Thus, this is a case of respiratory acidosis